After enamel has been exposed to bacteria, irreversible bacterial colonization takes place in about
1. 24 hrs
2. Few minutes
3. 1-2 hrs
4. 2-4 hrs

Correct answer: 4. 2-4 hrs